IL-1 is secreted by which of the following?
1. Neutrophils
2. Macrophage
3. Epithelial cells
4. All of the above

Correct answer: 4. All of the above

Explanation: IL 1 is produced mainly by activated macrophages, neutrophils, epithelial and endothelial cells. IL1, IL 6, TNF alpha are proinflammatory cytokines sometimes referred to as acute phase cytokines. IL1 and TNF alpha are endogenous pyrogens that are capable of stimulating fever, promoting local inflammatory reactions and synthesis of acute phase proteins. TNF alpha is the ultimate mediator of inflammation and the systemic effects of infection. It stimulates endothelial cells to express adhesion molecules and chemokines to attract leukocytes to the site of infection, activates neutrophils and macrophages, and promotes apoptosis of certain cell types. Systemically, TNF alpha acts on the hypothalamus to induce fever, can cause systemic metabolic changes, weight loss and loss of appetite, and enhance production of IL1, IL6, and chemokines and it promotes acute phase protein synthesis by the liver. At high concentrations, it elicits all of the functions leading to a septic shock. Ref: Medical Microbiology,with STUDENT CONSULT Online Access,7: Medical Microbiology By Patrick R. Murray, PAGE 57.